POEMS Syndrome includes all, EXCEPT:
1. Polyneuropathy
2. Organomegaly
3. Endocrinopathy
4. Multiple sclerosis

Correct answer: 4. Multiple sclerosis

Explanation: The features of this syndrome are polyneuropathy, organomegaly, endocrinopathy, multiple myeloma, and skin changes (POEMS). Patients usually have a severe, progressive sensorimotor polyneuropathy associated with sclerotic bone lesions from myeloma. Polyneuropathy occurs in ~1.4% of myelomas, but the POEMS syndrome is only a rare subset of that group. Unlike typical myeloma, hepatomegaly and lymphadenopathy occur in about two-thirds of patients, and splenomegaly is seen in one-third. Ref: Harrison's principle of internal medicine 17th edition, Chapter 106.